True about atosiban is that it:
1. Is an oxytocin receptor antagonist
2. Is an progesterone receptor antagonist
3. Is least effective in inhibiting preterm uterine contractions
4. Is a anti–tocolytic drug

Correct answer: 1. Is an oxytocin receptor antagonist